Common side effect of angiotensin receptor blocker?
1. Postural hypotension
2. Urticaria
3. Bronchospasm
4. Hypokalemia

Correct answer: 1. Postural hypotension

Explanation: Ans. is 'a' i.e., Postural hypotension